Which of the following is not true about Xenon anaesthesia –
1. Non explosive
2. Minimal cardiovascular side effects
3. Slow induction and slow recovery
4. Low blood gas solubility

Correct answer: 3. Slow induction and slow recovery

Explanation: Advantages of xenon : Inert, Minimal cardiovascular effects, nonexplosive, Rapid induction & recovery, Environmental friendly, does not trigger malignant hyperthermia.
Disadvantages of xenon : High cost, low potency, No commercially available anaesthesia equipment.